Boil can occur at all sites except
1. Pinna
2. Skin
3. Scalp
4. Palm

Correct answer: 4. Palm